Turban epiglottis is seen in
1. Tuberculosis
2. Leprosy
3. Laryngeal papilloma
4. Epiglottitis

Correct answer: 1. Tuberculosis

Explanation: Turban epiglottis is due to oedema and infiltration of the epiglottis and is caused by laryngeal tuberculosis. Lupus: a form of tuberculosis, on the other hand, eats away and destroys the epiglottis. Pseudoedema of the epiglottis is known as "turban epiglottis". Ref: PL Dhingra 7th edition of Ear, Nose and Throat; Pg no 331